In IV hyperalimentation, we give -a) Hypertonic salineb) Fatsc) Amino acidsd) Dextrosee) LMW dextran
1. abc
2. ad
3. bc
4. bcd

Correct answer: 4. bcd

Explanation: Parenteral alimentation involves the continuous infusion of a hyperosmolar solution containing carbohydrates (Dextrose), proteins, fat and other necessary nutrients (eg. Vitamins, trace minerals).